Which of the following is markedly decreased in restrictive lung disease -
1. FVC
2. FEVl
3. FEV1/FVC
4. RV

Correct answer: 1. FVC

Explanation: Ans. is 'a' i.e., FVC Pulmonary function studies in Restrictiv e lung diseaseo Forced vital capacity (FVC)-Decreased (more than obstruction)o Forced expiratory volume in 1 second (FEV1)-Decreased in proportion to FVCo FEV1/FVC-Near normal or increasedo Forced mid expiratory flow rate-Reducedo Total lung capacity-Decreasedo Residual volume-Generally decreasedo Functional residual capacity7-Decreased